Memory of an IUD device is important while insertion into the intrauterine cavity. Memory of CuT380A is:
1. 2 minute
2. 3 minute
3. 4 minute
4. 5 minute

Correct answer: 4. 5 minute

Explanation: Memory of an IUD device is the time taken to regain its original shape on insertion to the uterine cavity. The Cu-T 380A should not be loaded into its inserter tube more than 5 minutes before insertion. If longer, the malleable arms tend to retain the "memory" of the inserter and remain bent inward. Ref: Hoffman B.L., Schorge J.O., Schaffer J.I., Halvorson L.M., Bradshaw K.D., Cunningham F.G., Calver L.E. (2012). Chapter 5. Contraception and Sterilization. In B.L. Hoffman, J.O. Schorge, J.I. Schaffer, L.M. Halvorson, K.D. Bradshaw, F.G. Cunningham, L.E. Calver (Eds), Williams Gynecology, 2e.